A 25 year old male comes with a complaint of throbbing pain in the upper part of the cheek or entire side of face, heavy feeling in the face, which exacerbates on bending down and with associated pyrexia. The most probable diagnosis is
1. Acute dento alveolar abscess in relation to upper first molar.
2. Irreversible pulpitis in relation to upper 2nd molar.
3. Acute maxillary sinusitis
4. Acute periodontal abscess in relation to upper 1st molar

Correct answer: 3. Acute maxillary sinusitis